Osmotic pressure can be calculated by using?
1. Bernoulli's law
2. Van't hoff law
3. Ohm's law
4. Poiseuille's law

Correct answer: 2. Van't hoff law

Explanation: ANSWER: (B) Van't hoff lawREF: Medical Cell Biology 3rd ed by Steven R Goodman page 45In calculating osmotic pressure, one molecule of NaCl yields two particles, ivhereas Na2 SO4 yields three particles. By Van't Hoff law, osmotic pressure can calculated as follows:Osmotic pressure = O iRTcWhereO = Correction factor (AKA- Osmotic coefficient)I = number of ions formed by dissociation of a soluteR = Ideal gas constantT = Absolute temperature measured inKc = Molal or Molar concentration